Fusion of two eyelids by thin tags is called
1. Ankyloblepharon filiforme adnatum
2. Euryblepharon
3. Ablepharon
4. Epiblepharon

Correct answer: 1. Ankyloblepharon filiforme adnatum

Explanation: Answer- A. Ankyloblepharon filiforme adnatumIn ankyloblepharon filiforme adnatum the upper and lower eyelids are joined by thrn tags; most cases are sporadic. Treatment involves transection with scissors.